Virginia bridge is
1. Cast perforated resin retained fpd
2. Etched cast resin retained fpd
3. Macroscopic mechanical retention resin retained fpd
4. Chemical bonding resin retained fpd

Correct answer: 3. Macroscopic mechanical retention resin retained fpd

Explanation: Macroscopic mechanical retention resin retained FPDs ("virginia bridge")